Lever ratio is:
1. 14:01
2. 1.3:1
3. 18:01
4. 1.5:1

Correct answer: 2. 1.3:1

Explanation: (b) 1.3:1(Ref Cummings, 6th ed., 1996)The handle of malleus is 1.3 times longer than the long process of incus so that the lever ratio is 1.3:1.17:1 is the Areal ratio22 is the total transformer ratio of middle ear (Areal ratio x lever ratio)